First radiologic sign of Crohn's disease in the terminal ileum is
1. Aphthoid ulceration
2. Pseudosacculation
3. Cobble stone pattern
4. Thickening of bowel wall

Correct answer: 1. Aphthoid ulceration